All the statements about nontuberculous mycobacteria (NTM), are TRUE, EXCEPT:
1. NTM are ubiquitous in soil and water
2. No human-to-human transmission of NTM
3. Disseminated disease denotes significant immune dysfunction
4. Pulmonary disease, is usually associated with systemic immunodeficiency.

Correct answer: 4. Pulmonary disease, is usually associated with systemic immunodeficiency.

Explanation: Nontuberculous mycobacteria (NTM) survives in soil and water. Most NTM cause disease in humans only rarely. There is no human-to-human transmission of NTM. Disseminated disease denotes immune dysfunction eg:advanced HIV infection. Pulmonary disease is highly associated with pulmonary epithelial defects but not with systemic immunodeficiency. Ref: Harrison, Edition-18, Page-1367.